The most important clinical finding in a case of head injury is -
1. Pupillary dilatation
2. Level of consciousness
3. Focal neurological deficit
4. Fracture skull

Correct answer: 2. Level of consciousness

Explanation: Ans. is `b' i.e., Level of consciousness